Translocation associated with follicular thyroid carcinoma is?
1. PAX8- PPARrl
2. RET - PTC
3. ALK-NMP1
4. JAK-TEL

Correct answer: 1. PAX8- PPARrl

Explanation: Ans is 'a' i.e. PAX8- PPARrl Various genes involved in thyroid carcinomas arePapillary* Tyrosine kinase receptors RET or NTRK1* RAS mutation* BRAF oncogeneFollicular* RAS oncogene (NRAS, HRAS and KRAS* PAX8- PPARrl translocationMedullary* RET proto-oncogene